All of the following are poor prognostic markers of multiple myeloma, except:
1. t(1;14)
2. t(14;16)
3. 1q gain
4. t(14;20)

Correct answer: 1. t(1;14)

Explanation: Several cytogenetic abnormalities such as t(4;14), del(17/17p), t(14;16), t(14;20), nonhyperdiploidy, and gain(1q) are identified that confer poor prognosis in cases of multiple myeloma.